What is the % Body surface area involved in burns of the perineum?
1. 1%
2. 3%
3. 5%
4. 9%

Correct answer: 1. 1%

Explanation: Ans. (a) 1%Ref: Sabiston 19th ed. 1523Perineum involved in burns is 1% of body surface area.